A mother of 3 children had an unprotected sex last night. She didn't want to conceive that time because her last child was only 7 months old. All of the following are used for emergency contraception, EXCEPT:
1. IUD
2. Danazol
3. Ethinyl estradiol and levonorgestrel
4. Mifepristone

Correct answer: 2. Danazol

Explanation: Current methods of emergency contraception include combined oral contraceptives, progestin-only products, copper-containing IUDs, and mifepristone. Danazol is a 19-noestosterone derivative with progestin-like effects. Danazol acts several mechanisms to treat endometriosis. It acts at the hypothalamic level to inhibit gonadotropin release, inhibiting the midcycle surge of luteinizing hormone and follicle-stimulating hormone. Danazol also inhibits steroidogenic enzymes in the ovary that are responsible for estrogen production. Ref: Sarajari S., Muse, Jr. K.N., Fox M.D. (2013). Chapter 56. Endometriosis. In A.H. DeCherney, L. Nathan, N. Laufer, A.S. Roman (Eds), CURRENT Diagnosis & Treatment: Obstetrics & Gynecology, 11e.